Ergot alkaloid commonly used to prevent postpartum hemorrhage is :
1. Methylergometrine
2. Ergotamine
3. Dihydroergotamine
4. Dihydroergotoxine

Correct answer: 1. Methylergometrine

Explanation: Methylergometrine (methergine) is administered during delivery of anterior shoulder to prevent postpartum hemorrhage.